Bullet which is left inside the body for long is referred to as ?
1. Souvenir bullet
2. Tracer bullet
3. Tumbling bullet
4. Tandem bullet

Correct answer: 1. Souvenir bullet

Explanation: Ans. is 'a' i.e., Souvenir bullet Projectile is an object propelled by force of rapidly burning gases. In shotgun these are lead shots and pellets (recently steel is also used instead of lead) and in rifled weapons (pistal, rifle, revolver), these are bullets. Tip of the bullet is knwon as nose. Varieties of bullets are :- Incendiary (igniting) bullet : The tip of bullet contains self igniting material e.g. barium nitrate and powdered aluminium and magnesium (in the past, phosphorus was used), so that it catches fire on hitting the target. It is used to cause fire in usually inflammable targets like fuel tanks (of air crafts etc). Explosive bullet : The tip contains a detonator or lead azide, so that the bullet explodes on hitting the target. Dum-dum bullet (expanding bullet): It is a jacketed bullet with is nose tip chiseled or cut off. It is designed to increase in diameter and expand upon striking the target, thus producing larger diameter wounds of limited penetration. Tandem bullet (Piggey tail bullet) : It is called one-behind-other bullet because two bullets are ejected one after the other, when first bullet failed to leave the burrel and is ejected by subsequently fired bullet. Therefore, both enter body through same enterance wound (some times, they may enter through different entries), but the wounds of exit are always two. Tandem (Duplex) cartridge is one in which two bullets are present in same cartridge. It is used in military rifles. Tracer bullet: It leaves a trace in atmosphere along the path so that a person (gunner) can observe the strike. Burning of barium nitrate produces flame and powdered magnesium along with strontium nitrate are added to give red color to the flame. Tumbling bullet : One that rotates in end on end during its motion. Yawning bullet : One which travels in an irregular fashion and causes a key hole entery wound. Yaw means deviation between long axis of bullet and the axis of path of bullet. Souvenir bullet : A bullet left in body for long time and is surrounded by fibrous tissue. Frangile bullet : Designed to fragment upon impact. Mushrooming of bullet : A soft nose bullet, an hitting the target may get deformed to assume the shape of a mushroom.